Highly aggressive and lethal thyroid cancer:
1. Papillary
2. Follicular
3. Medullary
4. Anaplastic

Correct answer: 4. Anaplastic

Explanation: Ans. (d) Anaplastic CancerRef: Bailey and Love 27th Edition, Page 820* Lethal almost always in 6 months.* It can arise de novo or dedifferentiation of a papillary or poorly differentiated carcinoma** RT and CT does not increase survival